Griseofulvin is not useful in
1. Tinea capitis
2. Tinea versicolor
3. Tinea cruris
4. Tinea pedis

Correct answer: 2. Tinea versicolor

Explanation: griseofulvin and oral terbinafine are not usefu in the treatment of pityriasis versicolor iadvl textbook of dermatologypage 260